Second step of respective osseous surgery:
1. Vertical grooving
2. Radicular blending
3. Gradualizing bone margins
4. Flattening of 1/P bone

Correct answer: 2. Radicular blending

Explanation: Steps for Resective Osseous Surgery

Vertical grooving
Radicular blending
Interproximal bone flattening
Gradualization of marginal bone